A 29 year old man with ruptured appendix is sent to the emergency department for surgery. To cut off the blood supply to the appendix (if collateral circulation is discounted), a surgeon should ligate which of the following arteries?
1. Middle colic artery
2. Right colic artery
3. Ileocolic artery
4. Left colic artery

Correct answer: 3. Ileocolic artery

Explanation: * Appendix is supplied by appendicular artery which is branch of ileocolic artery * Middle colic and right colic supply ascending colon and transverse colon 2/3 * Left colic supplies transverse colon 1/3 and descending colon and sigmoid colon.